All are measurements of mortality except ?
1. Crude death rate
2. Survival rate
3. Incidence
4. Case fatality rate

Correct answer: 3. Incidence

Explanation: Ans. is `c' i.e., Incidence MEASUREMENT OF MORTALITY o Most epidemiological studies begin with mortality data. o The commonly used measures for mortality are :- i) Crude death rate (iii) Proportional mortality rate v) Case fatality rate ii) Specific death rate (iv) Survival rate vi) Standardized or adjusted rates